Which of the following drugs can be safely prescribed in pregnancy -
1. Warfarin
2. ACE inhibitors
3. Heparin
4. Beta-blockers

Correct answer: 3. Heparin

Explanation: For pregnant women and women who have given birth, heparin is the anticoagulant of choice and is recommended by the Royal College of Obstetricians and Gynaecologists. It does not cross the placenta, and therefore is considered to be safe . Ref - Harrisons 20e p848-850